Endophthalmitis refers to inflammation of all of the following structures of the eye, EXCEPT:
1. Uvea
2. Sclera
3. Retina
4. Vitreous

Correct answer: 2. Sclera

Explanation: Endophthalmitis refers to inflammation of the inner structures of the eyeball such as uveal tissue, retina and vitreous humour. It is associated with pouring of exudates into the vitreous cavity, anterior chamber and posterior chamber. When sclera is involved along with the other coats of eye it is called panophthalmitis. Ref: Ophthalmology By A.K Khurana, 4th Edition, Page 151-2